Cyclosporin–A acts on
1. CD4 cells
2. CD3 cells
3. CD8 cells
4. B lymphocytes

Correct answer: 1. CD4 cells